A tick borne fever, where organism attacks RBC's
1. Typhus
2. Babesiosis
3. Dengue
4. Malaria

Correct answer: 2. Babesiosis